Which the following may result in sudden increase in ETCO2?
1. Malignant Hyperthermia
2. Hyperthyroidism
3. Shivering
4. All of the above

Correct answer: 4. All of the above

Explanation: Ans. D. All of the above. (Ref. Paul's anaesthesia 5th/pg. Table 24-1)Factors That May Change End-Tidal Co2 (ETC02) During AnesthesiaIncreases in ETCO2Decreases in ETCO21. Hyperthermia1. Hypothermia2. Sepsis2. Hypothyroidism3. Malignant Hyperthermia3. Hyperventilation4. Shivering4. Hypoperfusion5. Hyperthyroidism5. Pulmonary embolism6. Hypoventilation 7. Rebreathing